All of the following drugs can cause SLE like syndrome Except
1. INH
2. Diltiazem
3. Procainamide
4. Penicillin

Correct answer: 4. Penicillin

Explanation: The most common drugs that cause Drug-induced lupus erythematosus are hydralazine, procainamide, isoniazid, quinidine, diltiazem, minocycline Drugs most commonly associated with drug-induced SCLE include calcium-channel blockers, angiotensin-converting enzyme inhibitors, thiazide diuretics, terbinafine, TNF-alpha antagonists. Penicillamine (not penicillin) can cause Drug-induced lupus erythematosus Penicillamine is a chelating agent REF: KD Tripathi 8th ed